All of the following are associated with better prognosis in schizophrenia, EXCEPT:
1. Married
2. Late onset
3. Acute onset
4. Negative symptoms

Correct answer: 4. Negative symptoms

Explanation: Late , acute onset of symptoms and married status all are associated with good prognosis in schizophrenia.Factors associated with good prognosis in schizophrenia are married, acute onset , positive symptoms, late onset of disease, presence of good support systems, mood disorder symptoms, obvious precipitating factors, family history of mood disorders, good premorbid social, sexual and work histories.Ref: Kaplan and Sadock's Study Guide and Self-Examination Review in Psychiatry By Benjamin J. Sadock, page 135.